Universal (standard) precautions to be observed by surgeons for the prevention of hospital acquire HIV infection include the following except:
1. Wearing gloves and other barrier precaution
2. Washing hands on contamination
3. Handling sharp instruments with care
4. Pre-operative screening of all patients of HIV

Correct answer: 4. Pre-operative screening of all patients of HIV

Explanation: Ans. (d) Pre-operative screening of all patients of HIVUniversal precautions:* It refers to practice in medicine of avoiding contact with; patient's bodily fluids, by means of wearing non porous articles such as medical gloves, googles and face shields.* Includes good hygienic habits, such as hand washing and; use of gloves and other barriers, correct handling of needles; and sclapels and aseptic techniques.* Typically practices against blood, Semen, vaginal secretions, synovial fluid, CSF, Pleural fluid and peritoneal fluid and Pericardial fluid.